Sunflower cataract is seen in:
1. Blunt trauma
2. Diabetes
3. Chalcosis
4. Argyriosis

Correct answer: 3. Chalcosis

Explanation: Ans: C (Chalcosis) Ref Parson's Diseases of the Eye 22nd edition pg.25H 259Explanation:CauseType of cataractDiabetesSnow flake cataractMyotonic dystrophyChristmas tree cataractGalactosemiaOil droplet cataractAlport syndromeAnterior polar cataractAtopic dermatitisShield cataractTraumatic cataractRosette cataractComplicated cataractPosterior subcapsularcataract with bread crumb appearance and polychromatic lusterSteroid inducedPSCC - discoidChalcosis/ copperSunflower cataractSiderosis/ironBrown discoloration